STEPS is for
1. Communicable diseases
2. Noncommunicable diseases
3. Both
4. None

Correct answer: 2. Noncommunicable diseases

Explanation: STEP wise approach yo surveillance (STEPS) : It is a simple, standardised method by WHO for surveillance Is of two types. STEP wise approach to chronic disease risk factor surveillance STEP wise approach to Stroke surveillance Comprises of 3 steps Steps Core Expanded STEP 1: Behavioural measurements Tobacco use Tobacco use Alcohol consumption Alcohol Consumption Diet Diet Physical activity Physical activity History of raised BP History of raised BP History of Diabetes History of Diabetes STEP 2: Physical measurements Heighy and weight Hip circumference and Heart rate Waist BP STEP 3: Biochemical measurements Blood Glucose Triglycerides and HDL Cholesterol Blood Lipids Ref: WHO- World Health Organisation